Jame Lind is related to the discovery of
1. Prevention of scurvy
2. Etiology of scurvy
3. Pathogenesis of scurvy
4. Diagnosis of scurvy

Correct answer: 1. Prevention of scurvy

Explanation: James Lind was a pioneer of naval hygiene in the Royal Navy. By conducting the first ever clinical trial, he developed the theory that citrus fruits cured scurvy. He argued for the health benefits of better ventilation aboard naval ships, the improved cleanliness of sailors' bodies, clothing and bedding, and below-deck fumigation with sulphur and arsenic. He also proposed that fresh water could be obtained by distilling sea water. Ref : Park's Textbook of Preventive and Social Medicine; 23rd edition